Percentage of zinc in ZOE cement is:
1. 60%
2. 70%
3. 80%
4. 90%

Correct answer: 2. 70%